A man presents with weakness, pain in upper abdomen, hyperpigmentation, arthritis, hyperglycemia and enlarged palpable liver. Most probable diagnosis is -
1. Haemochromatosis
2. Addison's disease
3. Insulin dependent diabetes mellitus
4. Cushing's syndrome

Correct answer: 1. Haemochromatosis

Explanation: Davidson's principles and practice of medicine 22nd edition. #Hemochromatosis is a condition in which amount of total body iron is increases.Excessive iron causes damage to several organs.Fatigue and arthropathy are early symptoms.Leaden Gray skin pigmentatin ,hepatomegaly ,arthritis,diabetes mellitus,cardiac failure are also present.